Chronic persistent hepatitis and chronic active hepathitis are differentiated by -
1. Anti-SM
2. CRP
3. Arthritis
4. Liver biospy

Correct answer: 4. Liver biospy

Explanation: Ans. is 'd' i.e., Liver biospyo Chronic persistent hepatitis and chronic active hepatis are differentiated depending upon histopathological features. For histopathologicalexamination liver biopsy is required.